Cough and angioedema in a patient receiving ACE inhibitor is due to
1. Bradykinin
2. Renin
3. Angiotensin II
4. All the above

Correct answer: 1. Bradykinin

Explanation: Refer kDT 6/e p 484 Angiotensin-converting enzyme inhibitors are widely prescribed for hypertension and heart failure. These drugs are commonly associated with cough, and are less commonly associated with angioedema, which may be potentially life threatening Although data are incomplete, it appears that angiotensin-converting enzyme inhibitors cause cough and angioedema through a cascade of effects that begins with the accumulation of kinins, and then involves arachidonic acid metabolism and nitric oxide generation. Most patients who develop either cough or angioedema from angiotensin-converting enzyme inhibitors can tolerate angiotensin-II receptor blocking agents.